Which of the following cause early onset of rigor mortis?
1. Arsenic
2. Pneumonia
3. Hypothermia
4. Strychnine

Correct answer: 4. Strychnine

Explanation: Strychnine causes early onset of rigor mortis, the rest of the options causes delayed rigor mortis.